Which of the following is not associated with stuporous catatonia?
1. Echolalia
2. Echopraxia
3. Rigidity
4. Increased speech production

Correct answer: 4. Increased speech production

Explanation: Increased speech production is seen in excited catatonia.